Most common accepted theory for antibody production is
1. Direct template
2. Indirect template
3. Natural selection
4. Clonal selection

Correct answer: 4. Clonal selection

Explanation: (Clonal selection theory) (149-150-AN 7th)Clonal selection theory proposed this theory which shifted immunological specificity to the cellular level According to the clonal selection hypothesis, during immunological development, cells capable of reacting with different antigens were formed by a process of somatic mutation, clones of cells that has immunological reactivity with self antigens were eliminated during embryonic life. Such clones are called forbidden clones. Their persistence or development in later life by somatic mutation could lead to autoimmune process.* The clonal selection theory is more widely accepted than the other theories, though it is unable to account for all the features of the immune response.